A 50 year old male chronic smoker complains of hoarseness for the past 4 months. Microlaryngoscopic biopsy shows it to be keratosis of the larynx. All are suggested treatment modalities for this condition, except -
1. Laser vaporizer
2. Stop smoking
3. Stripping of vocal cord
4. Partial laryngectomy

Correct answer: 4. Partial laryngectomy